Hydrocele is a type of ……………… cyst -
1. Retention
2. Distension
3. Exudation
4. Traumatic

Correct answer: 3. Exudation